Select True and false statements regarding temporomandibular joint
a. Temporomandibular joint is synovial joint
b. Articular disc is remnant of tendon of medial pterygoid
c. Gliding movements occur in lower compartment and rotatory
movements occur in upper compartment
d. Joint capsule is thick and tight in lower part and loose and lax in
upper part
e. Sphenomandibular ligament acts as false support to the joint and is
attached to angle of mandible
1. a - True, b - True, c - True, d - False, e - True
2. a - False, b - False, c - False, d - True, e - True
3. a - True, b - False, c - False, d - True, e - False
4. a - False, b - True, c - False, d - True, e - True

Correct answer: 3. a - True, b - False, c - False, d - True, e - False